All of the following are properties of local anaesthetics EXCEPT :
1. Blockade of voltage dependent Na+ channels
2. Preferential binding to resting channels
3. Slowing of axonal impulse conduction
4. Increase in the membrane refractory period

Correct answer: 2. Preferential binding to resting channels